X-ray Artifact is -
1. A radiolucent area
2. Any abnormal opacity in the radiograph
3. Produced when patient moves while taking the shoot
4. All of the above

Correct answer: 4. All of the above

Explanation: Common artifacts (all forms of radiography) motion artifact due to patient movement resulting in a distorted image image compositing (or twin/double exposure) superimposition of two structures from different locations due to double exposure of same film/plate radiopaque objects on/external to the patient (e.g. debris in the housing debris in the housing caused by the collimator tube can cause small trapezoidal regions, indicative of lead shavings